Upper respiratory tract infection is a common problem in children. All the following anesthetic complications can occur in children with respiratory infections, EXCEPT:
1. Bacteremia
2. Laryngospasm
3. Halothane granuloma
4. Increased mucosal bleeding

Correct answer: 3. Halothane granuloma

Explanation: In this case due to local congestion and oedema there is a risk of mucosal bleeds, furthermore the inflammation may also lead to laryngospasm. As with dental procedures bacteraemia can also occur. Halothane granulomas are more common in older, obese women not in children. Sevoflurane is the inducing agent of choice in children because it has no pungent smell. Ref: Harrison's Principles of Internal Medicine, 18th Edition, Chapter 305